Calcitonin is released by:
1. Parafollicular cells of thyroid
2. Chief cells of thyroid
3. Granular cells of adrenal gland
4. Stratum fasciculata of adrenal gland

Correct answer: 1. Parafollicular cells of thyroid